Posterior femoral muscles are supplied by -
1. Femoral nerve
2. Obturator nerve
3. Sciatic nerve
4. Sural nerve

Correct answer: 3. Sciatic nerve

Explanation: Ans. is 'c' i.e., Sciatic nerve o Posterior thigh muscles (posterior femoral muscles) are supplied by sciatic nerve.Posterior thigh musclesMuscleOriginInsertionNerve supplyActionSpecial remarksBiceps femorisLong head: Conjoint origin with semitendin- osus from inferomedial impression on upper half of ischial tuberosity.Short head: Lateral lip of linea aspera.Head of fibula.Long head: Tibial part of sciatic nerve.Short head: Common peroneal part of sciatic nerve.Extends the thigh. Flexes and laterally rotates the leg.Sacrotuberous ligament is the degenerated part of tendon of long head of biceps femoris.Semiten- dinosusInferomedial impression on upper part of ischial tuberosity.Upper part of medial surface of tibia.Tibial part of sciatic nerve.Extends the thigh, flexes and medially rotates the leg.Fusiform (spindle shaped) muscle with main mass (fleshy) in the middleSemimem branosusSuperolateral impression on the upper part of ischial tuberosity.Groove on the posterior surface of medial tigbial condyle.Tibial part of sciatic nerve.Extends the thigh, and flexes and medially rotates the leg.Expansions from the tendon are oblique popliteal ligament of knee joint and fascia covering popliteus.